The commonest type of porosity that results in a fluid resin technique is
1. Polymerization shrinkage porosity
2. Porosity due to inadequate pressure
3. Air inclusion porosity
4. Porosity due to increased heat

Correct answer: 3. Air inclusion porosity